Injectable tetanus toxoid (TT ) is an example of:
1. Active immunity
2. Passive Immunity
3. Native Immunity
4. Reaction Immunity

Correct answer: 1. Active immunity

Explanation: The toxins produced by organisms such as Diptheria & Tetanus are detoxicated and used in preparation of Vaccines (Toxoids). This detoxified toxins when administered in the body can elicit immune response resulting in antibody production & memory. The Antibodies produced neutralize the toxic moeity produced during infection by these organisms thus providing active immunization to the body. Active Immunity Passive Immunity Definition Include humoral and cellular responses of host Results in Ab production in the body. Formed by transfer of ready made antibodies Host body does not produce its own Ab. Modes of acquiring Following clinical infection, subclinical/ inapparent infection or immunization with an Ag. Administering Ig / antiserum or transplacental transfer of Ab/ Transfer of lymphocytes.